Which of the following is the most sensitive indicator of iron depletion during pregnancy?
1. Serum iron
2. Serum ferritin
3. Serum transferrin
4. Serum iron binding capacity

Correct answer: 2. Serum ferritin

Explanation: Serum ferritin levels is the first line test of iron status in the body, because it is an early indicator of iron store depletion. Serum ferritin less than 15mcg/L is suggestive of absent body iron stores. Ref: Textbook of Therapeutics: Drug and Disease Management By Richard A. Helms, 8th Edition, Page 781 ; Clinical Laboratory Pearls By Steven L. Jones, Pages 67-8 ; Textbook of Obstetrics By D.C.Dutta, 6th Edition, Pages 265-6